Which among the following is angiotensin receptor antagonist
1. Losartan
2. Enalapril
3. Captopril
4. Ramipril

Correct answer: 1. Losartan

Explanation: Refer kDT 6/e p 488 Examples of angiotensin II receptor blockers include: Azilsartan (Edarbi) Candesartan (Atacand) Eprosartan. Irbesartan (Avapro) Losartan (Cozaar) Olmesartan (Benicar) Telmisartan (Micardis) Valsartan (Diovan